True about phenytoin is
1. First pass metabolism
2. Not teratogenic
3. Drug of choice for absence seizure
4. causes nystagmus and ataxia

Correct answer: 4. causes nystagmus and ataxia